Which papillae are completely keratinized
1. Fungiform
2. Filiform
3. Circumvallate
4. Foliate

Correct answer: 2. Filiform